Which is the most specific autoantibody in SLE
1. Anti - nuclear antibody
2. Anti - smith antibody
3. Anti - histone antibody
4. Anti - Ro antibody

Correct answer: 2. Anti - smith antibody

Explanation: Most sensitive - anti nuclear antibody.
Most specific - anti smith antibody.